What is the vertical crest present in the fundus of the internal auditory canal called?
1. Bill's bar
2. Ponticulus
3. Cog
4. Falciform crest

Correct answer: 1. Bill's bar

Explanation: The internal acoustic meatus is divided by a horizontal bony ridge called crista falciformis into two compartments superior and inferior. The upper compartment is divided into anterior and posterior portions by a small vertical bony crest commonly known as Bill's bar. These bony ridges divide the fundus of internal auditory canal into four quadrants each carrying its own cranial nerve. Anterosuperior with the facial nerveAnteroinferior with the cochlear nervePostero superior and posteroinferior quadrants occupied by superior and inferior vestibular nerves.